BIRADS stands for
1. Breast Imaging Reporting and Data System
2. Best Imaging Reporting and Data System
3. Brain Imaging Reporting and Data System
4. Blood Imaging Reporting and Data System

Correct answer: 1. Breast Imaging Reporting and Data System

Explanation: Category 1 Incomplete assessment, need additional imaging evaluation Category 2 Negative, routine mammogram in 1yr is recommended Category 3 Benign findings, routine management in 1 year is recommended Category 3 Probably benign findings, short term follow up suggested Category 4 Suspicious abnormality, biopsy should be considered Category 5 Highly suggestive of malignancy, appropriate action should be taken Category 6 Known biopsy - proven malignancy